Cryptococcus neoformans is a
1. Protozoa
2. Fungus
3. Parasite
4. Mycoplasma

Correct answer: 2. Fungus

Explanation: Cryptococcus is a yeast. They possess rigid cell wall containing chitin, mannan and another polysaccharide. The cytoplasmic membrane contains sterols, cytoplasm contains true nuclei with nuclear membrane mitochondria and endoplasmic reticulum. They reproduced by budding. It is unicellular. Ref: Textbook of Microbiology, Ananthanarayan and Paniker; 9th edition